Periodic acid schiff stain shows Block positivity
1. Myeloblasts
2. Lymphoblasts
3. Monoblasts
4. Megakaryoblasts

Correct answer: 2. Lymphoblasts

Explanation: Lymphoblast contain cytoplasmic aggregates of periodic acid-schiff (PAS)-positive material.